Which of the following bullets leaves a visible mark in path so that a person can see it:
1. Tandem Bullet
2. Tracer Bullet
3. Dum Dum Bullet
4. Incendiary bullet

Correct answer: 2. Tracer Bullet

Explanation: B i.e. Tracer Bullet